M/c cause of B/L cornual block seen on HSG:
1. TB
2. Endometriosis
3. Physiological spasm
4. PID

Correct answer: 3. Physiological spasm

Explanation: Ans. is c, i.e. Physiological spasmOn HSG in TB: B/L cornual blockage can be seen but M/c cause of bilateral cornual block on HSG is not genital TB. It is physiological block due to spasm of the cornual end of the tube while doing HSG.